Least common valve involved in rheumatic fever?
1. Aortic valve
2. Tricuspid valve
3. Mitral valve
4. Pulmonary valve

Correct answer: 4. Pulmonary valve

Explanation: Ans. is 'd' i.e., Pulmonary valve Endocarditis in rneumatic fever Mitral valve involved almost all the cases of Acute Rheumatic Fever. Almost 25% of MR is asociated with aortic regargitation. Tricuspid regurgitation is seen in 10-30% cases. Pulmonary valve involvement is never seen.